A patient undergoes surgery in pelvic region. Which vein is most likely to result in thrombosis?
1. Iliac vein
2. Femoral vein
3. Calf vein
4. IVC

Correct answer: 3. Calf vein

Explanation: Risk factors for DVT Acquired: Obesity Infection Prolonged immobilization in surgery of lower limb or pelvic region M/C site of DVT - Calf vein or soleal vein M/C site of DVT leading to PE - Thigh vein or Femoropopliteal vein